A 65-year-old man has an enterocutaneous fistula originating in the jejunum secondary to inflammatory bowel disease. Which of the following would be the most appropriate fluid for replacement of his enteric losses?
1. 3% normal saline
2. Ringer lactate solution
3. 0.9% sodium chloride
4. 6% sodium bicarbonate solution

Correct answer: 2. Ringer lactate solution

Explanation: Bile and the fluids found in the duodenum, jejunum, and ileum all have an electrolyte content similar to that of Ringer lactate. Saliva, gastric juice, and right colon fluids have high K+ and low Na + content. Pancreatic secretions are high in bicarbonate. It is important to consider these variations in electrolyte patterns when calculating replacement requirements following gastrointestinal losses.